Regarding CSF all the following statements are true except
1. Its pH is less than blood
2. No neutrophils present normally
3. Formed by arachnoid villi
4. Persistent leakage can cause headache

Correct answer: 3. Formed by arachnoid villi

Explanation: C i.e. Formed by arachnoid villi